Iodine RDA is
1. 300 micrograms
2. 200 micrograms
3. 150 micrograms
4. 50 micrograms

Correct answer: 3. 150 micrograms

Explanation: Requirement of iodine The daily requirement of iodine for adults is placed at 150 micrograms. The recommendations of WHO of 250 mcg per day for iodine during pregnancy have also been adopted. This amount is normally supplied by well- balanced diet and drinking water except in regions where Food and water are deficient in iodine. Ref:Park's Textbook of Preventive and Social Medicine 25th Ed Pgno : 662